Intracellular calcification begins in?
1. Cytoplasm
2. Mitochondria
3. Golgi bodies
4. Lysosomes

Correct answer: 2. Mitochondria

Explanation: Mitochondria is the first organelle to get affected.